Paint brush appearance is a feature of
1. Hydronephrosis
2. PCKD
3. Medullary sponge kidney
4. Papillary necrosis

Correct answer: 3. Medullary sponge kidney

Explanation: Paint brush appearance - Medullary sponge kidney.
Egg in CUP appearance  - Papillary necrosis.